Which of the following is associated with the least radiation in pregnancy?
1. X-ray
2. MRI
3. CTscan
4. VQscan

Correct answer: 2. MRI

Explanation: Ans: b (MRI) Ref: Practical Radiotherapy- physics ami equipment 2nd ed/p.68MRI uses magnetic properties of hydrogen atoms to generate images.Increasing order of radiation:-X-ray< VQ scan < CT scan.